Ductopenic cholestasis is seen in all, EXCEPT:
1. Carbamazepine
2. Chlorpromazine
3. Tricyclic antidepressant agents
4. Methyldopa

Correct answer: 4. Methyldopa

Explanation: Disappearance of bile ducts, "ductopenic" cholestasis is seen with carbamazepine, chlorpromazine, tricyclic antidepressant agents. Reference: Harrisons Principles of Internal Medicine, 18th Edition, Page 2560